Which among the following is the most common site affected by psoriasis?
1. Flexor surface
2. Extensor surface
3. Palms and soles
4. Oral mucosa

Correct answer: 2. Extensor surface

Explanation: In psoriasis, classically patients develop sharply demarcated red plaques (raised plateaulike lesions) with silvery white scale distributed about the scalp, trunk, and limbs, with a predilection for extensor surfaces such as the elbows and knees.